Which of the following is not compatible with life?
1. OX
2. XX
3. OY
4. XXX

Correct answer: 3. OY

Explanation: Single Y chromosome is not compatible with lifeXX is normal female genotypeOX is Turner syndrome genotypeXXX is Triple X syndrome genotype(Refer: OP Ghai's Textbook of Pediatrics, 8th edition, pg no. 611)